A child few hours after ingestion of a fruit, vomiting started later developed convulsion. In the hospital his blood glucose was very low, but no ketone bodies. The fruit he ingested was identified as a fruit found in Africa. What is the diagnosis?
1. MCAD deficiency
2. Zellweger syndrome
3. Carnitine deficiency
4. Jamaican vomiting sickness

Correct answer: 4. Jamaican vomiting sickness

Explanation: Ans. D. Jamaican vomiting sickness* The fruit given in picture is Ackee apple fruit seen in Africa.* The fruit contains a toxin hypoglycin that inhibit acyl-CoA dehydrogenase.* Lack of beta oxidation results in lack of ATP and acetyl-Co A, which decreases gluconeogenesis.* This result in hypoglycaemia.* No ketone bodies due to lack of beta oxidation.